Me Callum patch is seen:
1. Rheumatoid arthritis
2. SLE
3. Rheumatic fever
4. Polyarthritis nodosa

Correct answer: 3. Rheumatic fever

Explanation: Ans: c (Rheumatic fever)Ref: Robbin's, 7th ed, p. 594 & 6th ed, p. 572